Volume of distribution for chloroquine is :
1. 5–8 L
2. 9–15 L
3. 100–650 L
4. Above 1300 L

Correct answer: 4. Above 1300 L